Molluscum contagiosum is a ________:
1. Adenovirus
2. Flavi virus
3. Rubi virus
4. Pox virus

Correct answer: 4. Pox virus

Explanation: Ref: Textbook of Microbiology by Surinder Kumar, P 534* Molluscum contagiosum virus is a pox virus, which causes a contagious, benign epidermal tumor that occurs in humans only.* Lesion: small, pink, papular, warty, pearl-like benign tumors of the face, arm, back and buttocks.Poxviruses causing disease in humansGenusVirusPrimary hostDiseaseOrthopoxvirusVariolaHumansSmallpox (now eliminated)VacciniaHumansLocalized lesion; used for smallpox vaccinationBuffalopoxWater buffaloHuman infections rate; localized lesionMonkeypoxRodents, monkeysHuman infections rate; generalized diseaseCowpoxCowsHuman infections rare; localized ulcerating lesionParapoxvirusOrfSheepHuman infections rare; localized lesionPseudocowpoxCows Bovine popular stomatitisCows MollusapoxvirusMolluscum contagiosumHumansMany benign skin nodulesYatapoxvirusTanapoxMonkeysHuman infections rare; localized lesionYabapoxMonkeysHuman infections very rare and accidental; localized skin tumors